Copper-T with threads is visible in a case of early pregnancy. Treatment of choice is
1. Remove CuT only
2. Suction evacuation with Copper-T removal
3. Reassurance and continue pregnancy
4. Laparotomy

Correct answer: 1. Remove CuT only

Explanation: If the woman wishes to continue with the pregnancy and the threads of Cu T are visible, the device should be removed by gently pulling through threads. Removal of IUCD in the early pregnancy has been found to reduce the abortion rate Reference : Park's textbook of preventive and social medicine, 23rd edition, Page no: 499